Lateral Meniscus- All are true except-
1. Smaller in diameter than medial meniscus
2. Semicircular in shape
3. More mobile
4. More prone to injury

Correct answer: 4. More prone to injury

Explanation: Ans. is 'd' i.e., More prone to injury Medial MeniscusLateral Meniscus* Semilunar in shape (Less circular)* Larger in diameter but narrower in body* Anterior horn is small while posterior horn is large* Covers less tibial articular surface than lateral (Covers about 65 percent of tibial articular surface)* Entire periphery of the meniscus is attached to the joint capsule* Is attached to the medial collateral ligament* Less mobile (due to firmer attachment with joint capsule and medial collateral ligament)* More prone to injury (due to reduced mobility) The medial meniscus is three to four times more prone to injury than the lateral meniscus* Semicircular in shape (C shaped; more circular)* Smaller in diameter but wider in body* Anterior horn and posterior horn are uniform in size* Covers more tibial articular surface than medial (Covers about 85 percent of tibial articular surface)* Entire periphery of meniscus is not attached to joint capsule (Area where the popliteus tendon crosses the joint through the popliteus hiatus is not attached)* Is not attached to the lateral collateral ligament* Afore mobile (due to gaps in attachment with joint capsule and lateral collateral ligament)* Less prone to injury (due to increased mobility)